Mugging is compression of neck by -
1. Wooden sticks
2. Rope
3. Forearm
4. Hand

Correct answer: 3. Forearm

Explanation: In Mugging, strangulation is caused by holding the neck of the victim in the bend of the elbow. Pressure is exerted either on front of the larynx or at one or both sides of the neck by the forearm and upper arm. The attack is usually made from behind Ref: The synopsis of forensic medicine & Toxicology pg: 187